A 88year old male patient presented with endstage renal disease with coronary Artery block and metastasis in the lungs. Now presents with acute cholecystitis, patients relatives need treatment to do some thing
1. Open cholecystectomy
2. Tube cholecystectomy
3. Laparoscopic cholecystectomy
4. Antibiotics then elective cholecystectomy

Correct answer: 2. Tube cholecystectomy

Explanation: Tube cholecystectomy If patients are unfit for surgery, per cutaneous, ultrasound guided or CT guided cholecystectomy is the treatment of choice Ref: Sabiston 20th edition Pgno :1496